The Efferent fibers bundle of the substantia nigra transmits dopamine to one of the following areas
1. Thalamus
2. Corpus striatum
3. Tegmentum of pons
4. Tectum of midbrain

Correct answer: 2. Corpus striatum

Explanation: Ans. (b) Corpus striatum(Ref: Ganong, 25th ed/p.243)The Efferent fibers bundle of the substantia nigra transmits dopamine to corpus striatum